A 40-year old man presented with acute onset pain and swelling of left great toe. On X-ray, punched out lytic lesion seen on phalanx with sclerotic margins and overhanging bony edges. Diagnosis is:
1. Gout
2. Rheumatoid arthritis
3. Psoriatic arthritis
4. Reiter's syndrome

Correct answer: 1. Gout

Explanation: Ans. a. Gout